When muscle glycogen is used for anaerobic glycolysis, how many ATPs are formed?
1. 2
2. 3
3. 4
4. 7

Correct answer: 2. 3

Explanation: Normally anaerobic glycolysis produces 2 ATPs. But the end product of muscle glycogenolysis is glucose-6-phosphate. Glucose-6-phosphatase is absent in muscle. So the step catalysed by hexokinase / Glucokinase is not needed. Hence the answer is 3.